A known case of pancreatitis presents on Day 4 with breathlessness, basal crepitations. Diagnosis is:
1. Lung collapse
2. Pleural effusions
3. ARDS
4. Aspiration pneumonia

Correct answer: 3. ARDS

Explanation: Ans. C ARDSPerihilar fluffy opacities - Bat wing opacitiesQ seen in pulmonary edema (cardiogenic/non-cardiogenic), ARDS. Common pulmonary complications of pancreatitis are ARDS, pleural effusion (mostly left sided) and consolidation.